Which of the following is the smallest autosome?
1. Chromosome 1
2. Y chromosome
3. Chromosome 21
4. Chromosome 22

Correct answer: 3. Chromosome 21

Explanation: Karyotyping Chromosome visualisation technique in which chromosome pairs are arranged in decreasing order of size except chromosome 21 & 22. Feature Chromosome no. The largest chromosome 1 The smallest chromosome Y The smallest autosome 21